A 21 yrs old girl with 8 weeks amenorrhoea, now comes in shock. The likely diagnosis is:
1. Ruptured Ectopic Pregnancy
2. Incarcerated Amnion
3. Twisted Ovarian cyst
4. Threatened Abortion

Correct answer: 1. Ruptured Ectopic Pregnancy

Explanation: Always remember: History of acute abdominal catastrophe with fainting attack and collapse i.e. shock following short period of amenorrhea, in a woman of child bearing age always points towards ectopic pregnancy (ruptured) and no other diagnosis.